Amyloidosis is seen in which type of diabetes mellitus?
1. Maturity onset DM
2. Type I DM
3. Type II DM
4. all of the above

Correct answer: 3. Type II DM

Explanation: Answer- C. Type II DMThe two best examples of localized amyloidosis are Alzheimer's disease and type 2 diabetes mellitus.In type 2 diabetes it is the islet amyloid polypeptide (IAPP) also known as amylin.